28 weeks pregnancy with pain and fever. Ultrasonographic examination shows presence of fiboroid-
1. Hysterectomy
2. Conservative management
3. Termination
4. Myomectomy

Correct answer: 2. Conservative management

Explanation: Ans. is 'b' i.e., Conservative management o The presence of pain and fever in a female in her mid pregnancy with ultrasound examination showing presence of fibroid supports the diagnosis of red degeneration.Red Degeneration (Also known as Carneous Degeneration)o Occurs in pregnant females with presence of fibroid because fibroid overgrown its blood supply (micronecro thrombosis).o Most commonly occurs in second trimester of pregnancy followed by in the puerperium.o Cut section : raw beefy appearance, fishy odor.o Patient presents with acute abdomen, vomiting, fever, and leukocytosis.Management :A Iways conservative m anagement (never surgery)HospitalizationBedrestAnalgesicsIVfluidsIV antibiotics (SOS)